Ipsilateral optic atrophy with contralateral papilloedema is a feature of :
1. Fischer syndrome
2. Foster kennedy syndrome
3. Vogt-kayanagi-Harada syndrome
4. WAGR syndrome

Correct answer: 2. Foster kennedy syndrome

Explanation: B i.e. Foster-Kennedy Syndrome